Enzymes for urea synthesis are present in:
1. Cytoplasm
2. Mitochondrial matrix
3. Both of the above
4. none of the above

Correct answer: 3. Both of the above

Explanation: Hepatic urea synthesis takes place in part in the mitochondrial matrix and in part in the cytosol. Ref: Harper 28th edition, chapter 28.